Drug of choice for treatment of malaria due to P. vivax in a 25 year old pregnant female is:
1. Chloroquine
2. Primaquine
3. Sulfadoxine-pyrimethamine
4. Quinine

Correct answer: 1. Chloroquine

Explanation: Ans. (A) Chloroquine(Ref: KDT 8th/e p880)DOC for malaria in pregnant - chloroquineDOC for chloroquine resistant malaria in pregnant - Quinine